Joseph Wolpe developed the following behaviour
management technique -
1. Modeling
2. Tell-Show-Do
3. Desensitization
4. Voice control

Correct answer: 3. Desensitization